Which of the following is a long acting insulin preparation?
1. Insulin lente
2. Isophane insulin
3. Insulin lispro
4. Insulin detemir

Correct answer: 4. Insulin detemir

Explanation: Ans. is 'd' i.e., Insulin detemir * Insulin detemir and insulin glargine are the long acting insulin preparations.